In a patient with third degree perineal tear, presenting after 1 week, repair should be done :
1. Immediately
2. 2 weeks
3. After 6 weeks
4. After 12 weeks

Correct answer: 4. After 12 weeks

Explanation: After 12 weeks